Which of the following brain tumours do not spread CSF
1. Germ cell tumours
2. Medulloblastoma
3. CNS lymphoma
4. Craniopharyngioma

Correct answer: 4. Craniopharyngioma

Explanation: Brain tumors spreading CSF are * Ependymoma * Medulloblastoma * Choroid plexus carcinoma * Astrocytoma * Germinoma * Pineoblastoma * CNS Lymphoma